Sunflower cataract seen in -
1. Chalcosis
2. Galectosemia
3. Trauma
4. Juvenile diabetes

Correct answer: 1. Chalcosis

Explanation: (A) (Chalcosis) (438 Khurana 5th)Chalcosis : Changes produced by the alloy of copper in the eye.1) Sunflower cataract : Produced by deposition of copper under the posterior capsule of the lens. It is brilliant golden green in colour and arranged like the petals of a sunflower.2) Kaver - Fleischer ring - Golden brown ring which occurs due to deposition of copper under peripheral parts of the Descemet's membrane of the cornea.* Classical diabetic cataract consists of snowflake cortical opacities ("Snow-flake cataract" or "Snow storm cataract") occuring in young diabetics (166-Kanski).* "Oil droplet central cataract" in Galactosaemia.* "Sunflower Cataract" in Wilson's disease.* "Christmas tree pattern" - Dystrophia myotonica.* "Rosette Shaped Cataract" -Blunt trauma.* "Glass blower" or "glass worker's" cataract - Infrared (heat) Radiation.